Death caused by act done with intent to cause miscarriage is punishable by
1. 309 IPC
2. 312 IPC
3. 314 IPC
4. 316 IPC

Correct answer: 3. 314 IPC

Explanation: Section 314 in The Indian Penal Code: Death caused by act done with intent to cause miscarriage. Whoever, with intent to cause the miscarriage of a woman with child, does any act which causes the death of such woman, shall be punished with imprisonment of either description for a term which may extend to ten years, and shall also be liable to fine. If the act was done without woman's consent, shall be punished either with or with the punishment above mentioned. Ref - Krishnan Vij 5th edition ,